The most toxic intraocular foreign body is a particle of:
1. Copper
2. Iron
3. Tantalum
4. Aluminium

Correct answer: 1. Copper

Explanation: Ans. Copper